Bacteria helpful in adipocere formation:
1. Staphyococcus
2. E. coli
3. B. proteus
4. Cl. welchii

Correct answer: 4. Cl. welchii

Explanation: Ans. D i.e. Cl. welchii